All of the following are antifungal drugs inhibit ergosterol biosynthesis EXCEPT
1. Ketoconazole
2. Fluconazole
3. Amphotericin B
4. None of these

Correct answer: 3. Amphotericin B

Explanation: Ref-KDT 6/e p757,758 Amphotericin B does not inhibit ergosterol synthesis , instead it binds with ergosterol to form pored in the fungal cell membranes